What is the order of puberty –
1. Thelarche – pubarche – menarche
2. Puberty – thelarche – menarche
3. Puberty – menarche – thelarche
4. Adrenarche – thelarche – pubarche

Correct answer: 1. Thelarche – pubarche – menarche